Which is NOT an alkylating agent?
1. 5-FU
2. Chlorambucil
3. Melphalan
4. Cyclophosphamide

Correct answer: 1. 5-FU

Explanation: Ans. is 'a' i.e., 5 Fluorouracil Alkylating agentsAlkylating agents are antineoplastic agents having alkyl groups in their structure. They exert their cytotoxic effect via transfer of their alkyl group to the various cellular constituents.Alkylation of D.N.A. is the major interaction that leads to cell death.Before transferring their alkyl group, the drugs undergo intramolecular cyclization to form an ethylene immonium ion that may directly or through formation of carbonium ion transfer an alkyl group.The major site of alkylation within the DNA is the N7 position of Guanine with D.N.A.Major types of Alkylating agents used in the chemotherapy of neoplastic diseases B15 (chloro ethylamines), Nitrogen mustardsCyclophosphamideMechlorethamineChlorambucilMelphalanIfosfamide NitrosoureasCarmustineLomustineSemustineStreptozocin AziridinesThiotepaAltretamine Alkyl sulfonateBusulfanIn addition for pedagogical reasons, the methyl hydrazine and platinum complexes are included under alkylating agents even though the latter do not formally alkylate DNA and exhibit a different means to form covalent adducts.Platinum compoundsCisplatinOxaliplatinCarboplatinNedaplatinTriazene, methyl hydrazineProcarbazineAltretamine (hexamethyl melamine)Dacarbazine